Which of the following agents is most commonly associated with recurrent meningitis due to CSF leaks?
1. Meningococci
2. Pneumococci
3. Hemophilus Influenza
4. E. Coli

Correct answer: 2. Pneumococci

Explanation: Intracranial CSF leaks cause bacterial meningitis, about 80% are caused by S. Pneumoniae. Other causative organisms are meningococcus, Hemophilus species and S.aurues. Ref: Clinical Pediatric Neurology By Ronald B. David, Page 217